Most common symptom of primary biliary cirrhosis is -
1. Pruritis
2. Abdominal pain
3. Jaundice
4. Bleeding

Correct answer: 1. Pruritis